Among the ions mentioned, the highest equilibrium potential is for:
1. Na+
2. K+
3. Ca++
4. H+

Correct answer: 3. Ca++

Explanation: Equilibrium potential for Ca2+ = +129 mV. Two factors are responsible for this high value: 1.Calcium is a divalent cation. 2.Its concentration gradient (ECF:ICF) is very large.